Colon cut off sign in plain X-Ray of abdomen is seen in?
1. Mesenteric ischemia
2. Intussusception
3. Acute pancreatitis
4. Acute cholangitis

Correct answer: 3. Acute pancreatitis

Explanation: Abrupt termination of the gas within the colon at the level of the radiological splenic flexure is called colon cut off sign. Inflammatory infiltration of the phrenicocolic ligament leads to the spasm of the colon and lumen narrowing at the level where colon returns to retroperitoneum.